True about paralytic squint:
1. Uniocular diplopia
2. Binocular diplopia
3. Diminished visual acuity
4. positive Force duction test

Correct answer: 2. Binocular diplopia

Explanation: Paralytic squint- Ocular deviation resulting from complete or incomplete paralysis of one or more extraocular muscles. Type of Incomitant Squint Secondary deviation is greater than primary. Diplopia (more often binocular) - it is main symptom of paralytic which is more marked in the field of action of paralyzed muscle. Visual acuity is normal - there is no amblyopia as usually the paralytic squint develops in adults when visual acuity has already developed. Force duction test is negative indicating no restriction of muscles